A 6-year-old girl is brought into the emergency room after an automobile accident. Physical examination shows bleeding from multiple wounds, and a CBC reveals a normocytic, normochromic anemia. Which of the following indices is most helpful in defining this patient's anemia as normocytic?
1. Hematocrit
2. Hemoglobin
3. Mean corpuscular hemoglobin concentration
4. Mean corpuscular volume

Correct answer: 4. Mean corpuscular volume

Explanation: - In this case scenario, MCV is most useful in determining anemia as normocytic, as it measures the average volume of red blood cells. - It categorizes RBCs by their average size. Normal range is 80-100 fl Cells with normal size are called normocytic smaller cells are termed microcytic larger cells are referred to as macrocytic MCHC: Measures average concentration of hemoglobin in a given volume of packed red cells.